Which of the following is not a part of management in grade III dog bite infected with rabies:
1. Vaccination
2. Stitch the wound with antibiotic coverage
3. Wash with soap and water
4. Administration of antirabies serum and vaccination

Correct answer: 2. Stitch the wound with antibiotic coverage

Explanation: Ans. B: Stitch the wound with antibiotic coverage Wound cleansing and immunizations, done as soon as possible after suspect contact with an animal and following WHO recommendations, can prevent the onset of rabies in virtually 100% of exposures. Recommended treatment to prevent rabies depends on the category of the contact: Category I: touching or feeding suspect animals, but skin is intact Category Il: minor scratches without bleeding from contact, or licks on broken skin Category III: one or more bites, scratches, licks on broken skin, or other contact that breaks the skin; or exposure to bats Post-exposure care to prevent rabies includes cleaning and disinfecting a wound, or point of contact, and then administering anti-rabies immunizations as soon as possible. Anti-rabies vaccine is given for Category II and III exposures. Anti-rabies immunoglobin, or antibody, should be given for Category III contact, or to people with weaker immune systems. Post-exposure treatment should start right away and only be stopped if the animal is a dog or cat and remains healthy after 10 days.